A 8-year-old boy was admitted to the emergency department complaining of nausea, vomiting, fever, and loss of appetite. On examination, he was found to have tenderness and pain on the right lower quadrant. Based on signs and symptoms, the diagnosis of acute appendicitis was made. During an appendectomy performed at McBurney's point, which of the following structures is most likely to be injured?
1. Deep circumflex femoral artery
2. Inferior epigastric artery
3. Ilio-hypogastric nerve
4. Genitofemoral nerve

Correct answer: 3. Ilio-hypogastric nerve

Explanation: The ilio-hypogastric nerve runs medially and inferiorly between the internal oblique and transverse abdominal muscles near the McBurney's point, the point at the junction of the lateral one third of a line between the anterior superior iliac spine and the umbilicus. Other structures are not found near the McBurney's point